Telefona is:
1. Pulling of hairs
2. Beating of soles
3. Beating on both ears
4. Beating on head

Correct answer: 3. Beating on both ears

Explanation: ANSWER: (C) Beating on both earsREF: Reddy 5th edition page 257See list of corporal punishment in Forensic medicine, June 2010"Telefona is simultaneous beating of both ears by both palms of hand, which may leads to torn external ear, rupture of tympanic membrane causing pain, bleeding and hearing loss"